Pharmacokinetics is -
1. Study of drug movement in the body
2. Study of drug effects
3. Study of drug responses, governed by heredity
4. None of the above

Correct answer: 1. Study of drug movement in the body

Explanation: Ans. is 'a' i.e., Study of drug movement in the body Pharmakokinetics is the quantitative study of drug movement, in through and out of the body. o That means, it is the study of the effect of body on the drug. o So, it is also known as ADME study as it deals with Absorption, Distribution, Metabolism and Excretion of a drug. Remember Pharmacodynamics (D) --> Drug does to body Pharmacokinetics --> Body does to drug.